Necrobiosis lipoidica is seen in
1. Diabetes insipudus
2. Lyme disease
3. Diabetes mellitus
4. Symmonds disease

Correct answer: 3. Diabetes mellitus

Explanation: Lesions of Necrobiosis lipoidica are found Primarily on the shins and patients can have diabetes mellitus or develop it subsequently .Characeteristic findings include